One of the epidemiological indices used to measure the tuberculosis problem in a community is the prevalence of infection. Which among the following is widely used to estimate the prevalence of tuberculosis infection in a population?
1. Sputum smear examination
2. Tuberculin test
3. Chest X-ray
4. Symptoms suggestive of tuberculosis

Correct answer: 2. Tuberculin test

Explanation: Prevalence of tuberculosis infection is the percentage of individuals who show a positive reaction to the standard tuberculin test. It represents a cumulative experience of a population to recent and remote infection with Mycobacterium tuberculosis. Ref: Park's Textbook Of Preventive And Social Medicine, By K. Park, 19th Edition, Page 151, 152.